The water can in the larynx (saccules) are present in:
1. Paraglottic space
2. Pyriform fossa
3. Reinke's space
4. Laryngeal ventricles

Correct answer: 4. Laryngeal ventricles

Explanation: It is a diverticulum of mucous membrane which starts from the anterior part of laryngeal ventricle extending between the vestibular folds and lamina of thyroid cartilage. The saccule has plenty of mucous glands whose main purpose is to lubricate the vocal cords (vocal cord is devoid of mucous glands) and hence is known as water can of larynx.